Which mineral causes skin allergy:
1. Magnesium
2. Zinc
3. Copper
4. Nickel

Correct answer: 4. Nickel

Explanation: Ans. D i.e. Nickel